Which of the following cannot be detected by wet film ?
1. Candida
2. Trichomonas
3. Chlamydia
4. Bacterial vaginosis

Correct answer: 3. Chlamydia

Explanation: Diagnosis of chlamydial infections nucleic acid amplification by PCR Chlamydial Antigenby ELISA Tissue cultures D.C.DUTTA'S TEXTBOOK OF GYNAECOLOGY,Pg no:150,6th edition